A 6-year-old boy has been complaining of a headache, ignoring to see the objects on the sides for four months. On examination, he is not mentally retarded, his grades at school are good, and visual acuity is diminished in both the eyes. Visual charting showed significant field defect.CT scan of the head showed suprasellar mass calcification. Which of the following is the most probable diagnosis
1. Astrocytoma
2. Craniopharyngioma
3. Pituitary adenoma
4. Meningiona

Correct answer: 2. Craniopharyngioma